A young man presents to the emergency department with a maculopapular rash 2 weeks after healing of a painless genital ulcer. The most likely etiological agent is –
1. Treponema Pallidum
2. Treponema Pertenue
3. Chalmydia Trachomatis
4. None of the above

Correct answer: 1. Treponema Pallidum

Explanation: Development of maculopapular rash two weeks after having a painless genital ulcer(probably chancre) suggests a diagnosis of secondary syphilis caused by Treponema.pallidum